Antiphospholipid antibody (APLA) syndrome is associated with all of the following except -
1. Bleeding disorders
2. Thrombotic disorders
3. Coagulation disorders
4. Recurrent fetal loss

Correct answer: 1. Bleeding disorders